All of the following are associated with breech presentation at normal full term pregnancy, except :
1. Placenta accretea
2. Fetal malformation
3. Uterine anomaly
4. Cornual implantation of placenta

Correct answer: 1. Placenta accretea

Explanation: Ans. is a i.e. Placenta accreta